Patient with NTD, dose of folic acid in next pregnancy -
1. 0.5 mg
2. 1 mg
3. 2 mg
4. 4 mg

Correct answer: 4. 4 mg

Explanation: Ans. is 'd' i.e., 4mg o The recurrence risk of neural tube defect is:# 3 - 5 % if a couple has previously had a child with either anencephaly or spina bifida.# 5% if either parent was bom with a NTD# 10% if a couple has two affected children.o Folic acid supplementation 4 mg daily 1 month before conception to about 12 weeks of pregnancy.